Acute angled septate hyphae are seen in -
1. Aspergillus
2. Mucor
3. PeniciIlium
4. Candida

Correct answer: 1. Aspergillus

Explanation: Ans. is 'a' i.e., .Aspergillus o Septate hyphae with acute branching-Aspergilluso Non septate hyphae with obtuse branching-Rhizopus/mucoro Septate hyphae with dichotomous branching into two equal divisons at a regular angle of 45deg are typical of Aspergillus.o Mucor and rhizopus are non-septate (aseptate) and penicillium has no hyphae (It is yeast like fungus).